Russel bodies seen in
1. Lymphocytes
2. Neutrophils
3. Macrophages
4. Plasma cells

Correct answer: 4. Plasma cells